Motor area of Brodman's is area:
1. 1
2. 4
3. 5
4. 7

Correct answer: 2. 4

Explanation: B i.e. 4